Blood supply of thoracic part of esophagus
1. Aorta
2. Inferior thyroid artery
3. Gastric artery
4. Superior thyroid artery

Correct answer: 1. Aorta

Explanation: OESOPHAGUS-ARTERIAL SUPPLY 1.The cervical part including the segment upto the arch of aorta is supplied by the inferior thyroid arteries. 2.The thoracic part is supplied by the oesophageal branches of the aorta. 3.The abdominal part is supplied by the oesophageal branches of the left gastric artery. REF:B D Chaurasia's human anatomy,Vol.1.Fifth edition.Pg 270